HPV responsible for Condyloma Acuminatum are?
1. Types 5 and 8
2. Types 6 and 11
3. Types 16 and 18
4. Type 13 and 32

Correct answer: 2. Types 6 and 11

Explanation: ANSWER: (B) Types 6 and 11REF: Fitz Patricks Dermatology 6th ed Page 2124, 2125, 2127, Robbins Pathology, 6th Ed, Page 1013 & Harrisons, 15th Ed, Page 1119See details of Condyloma Acuminatum in Dermatology 2002See APPENDIX - 31 below for "HUMAN PAPILLOMAVIRUS" APPENDIX - 31Human Papilloma Virus:DiseaseHPV TypeCommon warts2, 7Plantar warts1, 2, 4, 63Flat warts3,10Anogenital warts6,11, 42, 44 and others(types 6 and 11 account for about 90% of all cases)Genital cancersHighest risk: 16,18, 31, 45 HPV types (16 and 18 cause 70% of cervical cancer)Other high-risk: 33, 35, 39, 51, 52, 56, 58, 59 Probably high-risk: 26, 53, 66, 68, 73, 82Epidermodysplasia verruciformisHPV types 5 and 8Heck's disease- Focal epithelial hyperplasia (oral)13, 32Oral papillomas6, 7,11,16, 32HPV-positive Oropharyngeal cancer16Laryngeal papillomatosis6,11